Thyroid dose from panoramic radiography is about:
1. 22 Gy
2. 34 μGy
3. 51 μGy
4. 74 μGy

Correct answer: 4. 74 μGy